All of the following are true about Kernicterus EXCEPT:
1. Kernicterus is due to Unconjugated Hyperbilirubinemia
2. Yellowish staining of Basal Ganglia is seen
3. Prematurity is a risk factor
4. Not associated with increased morbidity

Correct answer: 4. Not associated with increased morbidity

Explanation: Not associated with increased morbidity REF: Nelson 171h edition page 687 KERNICTERUS OR BILIRUBIN ENCEPHALOPATHY: Kernicterus, or bilirubin encephalopathy, is a neurologic syndrome resulting from the deposition of unconjugated bilirubin in the basal ganglia and brainstem nuclei. The greatest risk associated with hyperbilirubinemia is the development of kernicterus (bilirubin encephalopathy) at high indirect serum bilirubin levels. The level of serum bilirubin associated with kernicterus is dependent in part on the cause of the jaundice. Kernicterus has developed when bilirubin levels exceed 30 mg/dL, although the range is wide (21-50 mg/dL). Its onset is usually in the 1st wk of life, but it may_be delayed to the 2nd-3rd wk. Kernicterus develops at lower bilirubin levels in preterm infants and in the presence of asphyxia, intraventricular hemorrhage, hemolysis, or drugs that displace bilirubin from albumin. The exact serum bilirubin level that is harmful for VLBW infants is unclear. Kernicterus does occur in patients with breast milk jaundice but is very uncommon. The surface of the brain is usually pale yellow. On cutting, certain regions are characteristically stained yellow by unconjugated bilirubin Overt neurologic signs have a grave prognosis; 75% or more of such infants die, and 80% of affected survivors have bilateral choreoathetosis with involuntary muscle spasms. Intellectual disability, deafness, and spastic quadriplegia are common. Infants at risk should have screening hearing tests.